Paresthesia over nasal and upper lip following fractured zygoma is because of involvement of
1. Facial nerve
2. Posterior superior alveolar nerve
3. Infraorbital nerve
4. Mental nerve

Correct answer: 3. Infraorbital nerve